Dermatophytes infects
1. Subcutaneous tissue
2. Systemic organs
3. Nails, hair and skin
4. Superficial skin and deep tissue

Correct answer: 3. Nails, hair and skin

Explanation: Superficial mycosis - dermatophytes, malassezia furfur, Tinea nigra, black piedra, trichosporon beigelii. Subcutaneous mycosis - mycetoma, chromoblastomycosis, sporotrichosis, rhinosporidiosis. Systemic mycosis - blastomyces, paracoccidioides, histoplasma, coccidioides, cryptococcus. Reference: Textbook of Microbiology; Baveja; 4th edition